Pleural effusion in rheumatoid arthritis is typically associated with the following features except
1. Glucose > 60 mg/dl
2. Protein > 3 gm/di
3. Pleural fluid protien to serum protein ratio of >0 .5
4. Pleural fluid LDH to serum LDH ratio of >0.6

Correct answer: 1. Glucose > 60 mg/dl

Explanation: Ans. is 'a' i.e., Glucose > 60 mg/dl Causes of low glucose pleural fluid Malignancy Rheumatoid arthritis Empyema Hemothorax Paragonimiasis Churg strauss syndrome Lupus pleuritis (occasionally)